True about tuberculosis -
1. Cavitatory lesion suggests inactive disease
2. Rasmussen aneurysm is a complication
3. High grade fever
4. Tubercular bronchiectasis occur in lower lobes

Correct answer: 2. Rasmussen aneurysm is a complication

Explanation: Answer- B. Rasmussen aneurysm is a complicationCavitation is a sign of active disease, and is considered as a sign of reactivationFever in TB is usually low-grade and intermittent.Rasmussen's aneurysm is an inflammatory pseudoaneurysmal dilatation of a branch of pulmonary artery adjacent to a tuberculous cavity and life threatening complication of cavity tuberculosis.Tuberculosis causes upper lobe bronchiectasis.